The type of degeneration most commonly associated with retinal breaks is:
1. Paving stone degeneration
2. Lattice degeneration
3. Snow Bake degeneration
4. Cystoid degeneration

Correct answer: 2. Lattice degeneration

Explanation: Ref: Samar K Basaks Clinical Opthalmology 2nd edition.ExplanationRetinal detachmentRetinal detachment is the separation of sensory retina from the retinal pigmentary epithelium by subretina] fluid (SRF)Retina] break is the full thickness defect in sensory retinaRetinal detachments are classified asRhegmatogenous (primary), 'rhegma' means a breakNon-rhegmatogenous (secondary )o Tract ionalo ExudativeRhegmatogenous retinal detachmentSRF gains access into subretinal space through a retinal break, may be traumatic or spontaneousOver 40 % of RDs occur in myopic subjects due to higher incidence of lattice degeneration. liquefaction of vitreous and posterior vitreous detachmentiMttice degeneration is the most important degeneration directly related to RD and is found in myopes over -3.0 D60% of all retinal breaks develop in peripheral retina showing specific changes. The most important predisposing degenerations areo Lattice degeneration - present in 40% of eyes with RDo Snail track degenerationo White with pressureo White without pressureo Focal pigment clumpsOther benign degenerations areo Cvstoid degeneration -constant finding in old age. Not itself casually related to RDo Paving stone degeneration - present in 25% of normal eyeso Snow Hakes degenerationNon rhegmatogenous RDTractional -Causeso Proliferative retinopathieso Penetrating ocular injuryExudative - Causeso Choroidal tumours and inflammation.